Modified Thayer-martin medium is used for -
1. Gonococcus
2. Legionella
3. Helicobacter
4. Campylobacter

Correct answer: 1. Gonococcus

Explanation: Ans. is 'a' i.e., Gonococcus For Gonococcus* Transport media# It processing is to occur within 6 hrs - Stuart medium or Amies medium.# If processing is to occur - 6 hrs - JEMBEC or Gono - Pak system* Cluture media# In acute cases - Chocolate agar or Muller - Hinton agar.# In chronic cases - Selective medium - Thayer martin medium.* Normally the diagnosis of gonorrhoea is made by isolating the organism in culture.